When can a child begin to take a biscuit to his mouth?
1. 2 months
2. 4 months
3. 6 months
4. 9 months

Correct answer: 3. 6 months

Explanation: By 6 months, a child can begin to take a biscuit to his mouth. By 12 months, he can try to feed self with a cup but spills some of contents. By 15 months, he can drink from cup without much spilling By 18 months, he can feed himself well with a spoon